Spenoid sinus drains into which of the following -
1. Spheno-ethmoidal recess
2. Middle meatus
3. Superior meatus
4. Hiatus semilunaris

Correct answer: 1. Spheno-ethmoidal recess

Explanation: Ans. is 'a' i.e., Spheno-ethmoidal recess Part of lateral nasal wallOpeningsInferiorNasolacrimal ductMiddleFrontal sinus, Maxillary sinus. Anterior ethmoidal sinusSuperiorPosterior ethmoidal sinusSphenoethmoidal recessSphenoid sinus